The opening through which the right phrenic nerve passes is:
1. Aortic opening
2. Oesophageal opening
3. Vena caval opening
4. Directly pierces the diaphragm

Correct answer: 3. Vena caval opening

Explanation: Vena caval opening